Which ones are Non-Depolaring Muscle Relaxants:
1. Mivacurium
2. Halothane
3. Desflurane
4. Isoflurane

Correct answer: 1. Mivacurium

Explanation: Ans: A (Mivacurium) Hablhane. desflurane. isofluraiie &ether are inhalational general anesthetic agents Non-depolarizingShort actingSuccinylcholtneShort actingMivacuriumIntermediate actingAtracuriurmCis-atracuriumVecuroniumRocuroniumLong actingDoxacuriumPancuroniumPipecuronium